Ranibizomab is monoclonal antibody against ?
1. IL-6
2. CD-20
3. VEGF
4. EGFR

Correct answer: 3. VEGF

Explanation: Ans. is 'c' i.e., VEGF